Anju, a 28 years female, has diarrhea, confusion, high grade fever with bilateral pneumonitis. Organism causing this:
1. Legionella
2. Neisseria meningitidis
3. Streptococcus pneumoniae
4. H. influenzae

Correct answer: 1. Legionella

Explanation: Ans. (a) Legionella Clinical teatures suggestive of Legionnaire's disease Diarrhea High fever (>40degC or >104degF). Numerous neutrophils but no organisms revealed by Gram's staining of respiratory secretions. Hyponatremia (serum sodium level of < 131 meq/L). Failure to respond to p-lactam drugs (penicillins or cephalosporins) and aminoglycoside antibiotics. Occurrence of illness in an environment in which the potable water supply is known to be contaminated with Legionella. Onset of symptoms within 10 days after discharge from the hospital. Remember: MC extrapulmonary site in heart in which it causes myocarditis, pericarditis.